All of the following statements about carcinoid syndrome are true except:
1. Midgut carcinoids produce typical carcinoid syndrome
2. Plasma serotonin levels may be normal in atypical carcinoid syndrome
3. Metastasis to bone is common in Midgut Carcinoids
4. Carcinoid Syndrome is rare in Hindgut Carcinoids

Correct answer: 3. Metastasis to bone is common in Midgut Carcinoids

Explanation: Answer is C (Metastasis to bone is common in Midgut Carcinoids): Palliative Care (Oxford University Press, 2009)/ 452; Multiple references Metastasis to bone is rare in Midgut Carcinoids and is Common in Foregut Carcinoids. Features Foregut Midgut Hindgut Site Esophagus Jejunum Transverse Colon(Distal) Stomach Ileum Descending Colon Duodenum (Proximal) Appendix Rectum Liver; Gallbladder Meckel's Diverticulum Pancreas Ascending Colon Respiratory tract Transverse Colon (Proximal) Argentaffin Stain Negative Positive +/? Carcinoid Syndrome Atypical Typical Syndrome is Rare (Prolonged purple flush; (Short pink red flushes; Headache; , lacrimation; Diarrhoea; Wheezing; Bronchoconstriction) Dyspnea; Cardiac Fibrosis; Pallegra) Metastasis to Bone Common Rare Common Plasma Serotonin Normal Elevated +/? Typical Urinary 5-HTP 5-HIAA, 5HT Rarely 5HT Metabolite